Mechanism of action of oral contraceptive pill can be all except ?
1. Hostile to sperm penetration
2. Anovulatory cycle
3. Failure of blastocyst implantation
4. Blockade of fimbrial ostia

Correct answer: 4. Blockade of fimbrial ostia

Explanation: Ans. is 'd' i.e., Blockade of fimbrial ostia Mechanism of action of OCPs 1nihibition of gonadotropin release from pitutary by reinforcement of normal feedback inhibition - No prevulatory LH surge - No ovulation This is the most important mechanism. Thickening of cervical mucus secretion (due to progesterone) - hostile to sperm penetration. Even if ovulation and fertilization occur, the blastocyte fails to implant because endometrium is either hyperproliferative or hypersecretory - not suitable for nidation - Important in case of postcoital pill. Uterine and tubal contractions may be modified to disour fertilization. Postcoital pills may dislodge a just implated blastocyte or may interfere fertilization/implantation.